Which of the following test is unable to differentiate between 'in situ' breast cancer and invasive disease
1. Core needly biopsy
2. FNAC
3. Excisional biopsy
4. None

Correct answer: 2. FNAC

Explanation: Management of DCIS : FNAC confirms the disease but will not differentiate DCIS from invasive carcinoma. Ref : SRB's 4thE pg: 566